The following statement about Gomez classification is false:
1. Based on height retardation
2. Based on 50th centile Harvard standards
3. Between 75-89% implies mild malnutrition
4. This classification has prognostic value for hospitalization of children.

Correct answer: 1. Based on height retardation

Explanation: Gomez classification is based on weight for age criteria